When shoulder pain develops in a case of tubal pregnancy it indicates :
1. Tubal abortion
2. Development of tubal mole
3. Development of broad ligament hematoma
4. Severe internal bleeding

Correct answer: 4. Severe internal bleeding

Explanation: Severe internal bleeding